Anti-tubercular drug contraindicated during Pregnancy is:-
1. Isoniazid
2. Rifampicin
3. Streptomycin
4. Ethambutol

Correct answer: 3. Streptomycin

Explanation: - Streptomycin- It is ototoxic to the fetus and should not be used during pregnancy. - With the exception of streptomycin, the first line anti-TB drugs are safe for use in pregnancy. - Pyridoxine (vitamin B6) should be added to the drug treatmentoftuberculosisin allpregnantwomen taking isoniazid. - Pregnancy with TB: Start ATT immediately irrespective of time of pregnancy / delivery - 2 months + 7 months - total 9 months. MDR-TB : Do MTP & then start ATT; If MTP can't be done, start ATT without kanamycin & ethionamide substituted with PAS till delivery.